All of the following are congenital infection EXCEPT:
1. Rubeda
2. CMV
3. Toxoplasmosis
4. Gonorrhoea

Correct answer: 4. Gonorrhoea

Explanation: ANSWER: (D) GonorrhoeaREF: Dutta 6th ed p. 299"Gonorrhoea is acquired infection, not congenital"Organisms causing intrauterine infections are:ToxoplasmosisRubellaSyphilisHerpes virusCytomegalo virusHIVHBV, HCV, HDV